Which epileptic syndrome is associated with left hemispheric atrophy in child?
1. Dravet Syndrome
2. Dyke Davidson Masson syndrome
3. Lennox Gastaut syndrome
4. West Syndrome

Correct answer: 2. Dyke Davidson Masson syndrome

Explanation: All the above options are epileptic syndromes, among these only Dyke Davidson Masson syndrome have characteristic Childhood Cerebral Hemiatrophy features. Dyke Davidson Masson syndrome: Hemiatrophy or hypoplasia of unilateral cerebral hemisphere resulting from brain insult in fetal or early childhood period with compensatory ipsilateral calvarial hypertrophy Insult could be vascular, congenital or acquired ischemic disease, trauma or inflammation In-utero gestational vascular occlusion involving middle cerebral vascular territory or coarctation of mid-aortic arch may decrease carotid arterial flow Dravet Syndrome- prolonged seizures, psychomotor delay, ataxia. It is characterized by cognitive impairment, behavioral disorders, and motor deficits. Lennox Gastaut syndrome- seizures, cognitive dysfunction, and EEG findings (slow spike wave). West Syndrome- epileptic/infantile spasms, abnormal brain wave patterns (hypsarrhythmia) and intellectual disability.